Anti-arrhythmic drug+ antianginal drugs
1. Beta blockers
2. Nitrates
3. Rho kinase inhibitor
4. Potassium channel openers

Correct answer: 1. Beta blockers

Explanation: Beta blockers are class 2 anti arrhythmic agents which are also used in angina except in variant angina. Ref katzung 12th ed.